A School based dental health education programme that emphasizes home activities for skill development
1. Health-way arcade
2. Head Start
3. Tattle tooth
4. Natural Noshers

Correct answer: 4. Natural Noshers